Proteus isolated from a patient of UTI will show which boichemical reaction:
1. Phenylpyruvic acid reaction
2. Bile esculin reaction
3. Colchicine sensitivity
4. Bacitracin sensitivity

Correct answer: 1. Phenylpyruvic acid reaction

Explanation: Ans. is. 'a' i. e., Phenylpyruvic acid reaction